Defects in which of the following doesn’t cause blistering
1. Collagen Vll and pectin
2. Filaggrin
3. Laminin
4. Keratin

Correct answer: 2. Filaggrin

Explanation: Filaggrin defects causes icthyosis and atopic dermatitis, but not blistering disease.